Black colour code is used in four colour codesystems of triage management in disaster for:
1. Dead or moribund patients
2. High priority patients
3. Low priority patients
4. Ambulatory patients

Correct answer: 1. Dead or moribund patients

Explanation: (Dead or moribund patients): Ref: (701-Park 20th)Disaster management* There are three fundamental aspects of disaster management 3a. Disaster response} b. Disaster preparedness"Disaster cycle"c. Disaster mitigation * TRIAGE: consist of rapidly classifying the injured on the basis of severity of their injuries and the likely hood of their survival with prompt medical intervention* Higher priority is granted to victims whose immediate or long term prognosis can be dramatically affected by simple intensive care* Moribund patients who require a great deal of attention, with questionable benefit, have the lowest priority.Four colour code systemsRed indicates - High priority treatment or transferYellow indicates - Medium priorityGreen indicates - Ambulatory patientsBlack indicates - Dead or moribund patients